True about abruptio placentae are all except:
1. Hypertension in the pregnancy is important predisposing factor
2. Placenta lying in the lower segment
3. Tender and hard uterus
4. Continuous bleeding per vaginum

Correct answer: 2. Placenta lying in the lower segment

Explanation: Ans. B: Placenta Lying in the Lower Segment Abruptio placentae: It is a form of antepartum hemorrhage where bleeding occurs due to premature separation of normally situated placenta. Hypertension in the pregnancy is important predisposing factor Symptoms -- Vaginal Bleeding (78%) -- Abdominal Pain (66%)-May be severe and constant, posterior placenta may present with back pain Signs - Vital signs suggestive of cardiovascular compromise-Tachycardia, orthostatic changes in Blood Pressure and pulse - Evaluate for external signs of trauma - Uterus hypertonic or tense (Couvelaire Uterus)-Fundus tender to palpation